In pregnancy, all of the following drugs are contraindicated except:
1. ACE Inhibitors
2. Angiotensin Receptor Blockers
3. Propylthiouracil
4. Thalidomide

Correct answer: 3. Propylthiouracil

Explanation: Ans. (C) Propylthiouracil(Ref: KDT 7th/e p964)Among the given options, the best answer seems to be propylthiouracil. Although, the latter can cause hepatotoxicity in mother.